All of the following are features of carcinoma penis Except:
1. Surgery is the treatment of choice
2. Balanoposthitis may be a predisposing factor
3. Metastaizes to inguinal nodes
4. Histologically a transitional cell carcinoma

Correct answer: 4. Histologically a transitional cell carcinoma

Explanation: Ans. D: Histologically a transitional cell carcinoma Penile squamous cell carcinoma, the most common penile malignancy, behaves similarly to squamous cell carcinoma in other parts of the skin. Chronic balanoposthitis is known to be a contributory factor for penile carcinoma. Metastasis, which is possible with this type of carcinoma, is often lethal.